What is seen in acromegaly:
1. Large tongue
2. Hypoglycemia
3. Crowding of teeth
4. Micrognathia

Correct answer: 1. Large tongue